Sexual asphyxia is associated with which of the following perversions
1. Voyeurism
2. Masochism
3. Sadism
4. Fetishism

Correct answer: 2. Masochism